All may be associated with Sicca syndrome,except -
1. Sarcoidosis
2. Rheumatoid arthritis
3. Midline granuloma
4. Chronic active hepatitis

Correct answer: 3. Midline granuloma